Following a penetrated injury in the submandibular triangle, the tongue of 45 year old patient deviates to the left on protrusion. Which of the following nerves is injured?
1. Right lingual nerve
2. Left lingual nerve
3. Right hypoglossal nerve
4. Left hypoglossal nerve

Correct answer: 4. Left hypoglossal nerve

Explanation: A lesion of the hypoglossal nerve causes deviation of the tongue toward the injured side on protrusion. The lingual and glossopharyngeal nerves do not supply the tongue muscles. Hence option 4 i.e. left hypoglossal nerve (same as the side of deviation) is correct.